In periodontal disease, ground substance is dissolved by
1. Hyaluronidase
2. Coagulase
3. Phosphorylase
4. Acid phosphatase

Correct answer: 1. Hyaluronidase